Duration for heat pulp testing is:
1. 5 seconds.
2. 10 second
3. 15 second
4. 20 second

Correct answer: 1. 5 seconds.